Steroid induced cataract
1. Nuclear cataract
2. Cupuliform cataract
3. Posterior subcapsular cataract
4. Anterior subcapsular cataract

Correct answer: 3. Posterior subcapsular cataract

Explanation: Drug induced cataract Coricosteroid-induced cataract Posterior subcapsular opacities are associated with the use of topical as well as systemic steroids. Prolonged use of steroids in high doses may result in cataract formation. Children are more susceptible than adults. Reference: A.K.Khurana; 6th edition; Page no:195